Glucocorticoids have all the following actions except:
1. Increase in blood glucose level
2. Increase in protein catabolism
3. Anti-insulin action in peripheral tissues
4. Decrease in glucose uptake by the heart

Correct answer: 4. Decrease in glucose uptake by the heart